Bacillus used to test the efficacy of Sterilization by Autoclave is?
1. Bacillus subtilis.
2. Bacillus pumilus
3. Bacillus stearothermophilus
4. Coxiella burnetii

Correct answer: 3. Bacillus stearothermophilus

Explanation: Various bacilli are used to check the efficacy of sterilization methods are:

Autoclave- Bacillus stearothermophilus
Hot air oven- Bacillus subtilis subspecies niger
Ionising radiation- Bacillus pumilus